Palatine tonsil develops from
1. Dorsal part of II pharyngeal pouches
2. Ventral part of II pharyngeal pouches
3. Dorsal part of III pharyngeal pouches
4. Ventral part of I pharyngeal pouches

Correct answer: 2. Ventral part of II pharyngeal pouches